Which of the following disease is not a cause of indirect Hyperbilirubinemia ?
1. Rotor's syndrome
2. Criggler Najjar syndrome
3. Gilbert syndrome
4. Hereditary spherocytosis

Correct answer: 1. Rotor's syndrome

Explanation: Rotor s is a form of familial conjugated hyperbilirubinemia (harsh mohan page 601)